All the following are features of Pseudotumor Cerebri except .
1. Normal-sized ventricles on CT scan
2. Increased protein in CSF
3. Papilledema
4. Absence of focal neurological deficit

Correct answer: 2. Increased protein in CSF

Explanation: Answer is B (Increased protein in CSF): Pseudotumor cerebri is associated with a normal CSF picture. Pseudotumor cerebri It is a benign self-limiting disorder with a favorable outcome. Characteristic features: Elevated intracranial pressure (intracranial hypertension) with : Normal or Small sized ventricular system No focal neurological signs Q Papilledema Q (enlarged blind spot in visual fluid). Normal CSF findings Q Normal CT scan, MRI and isotope brain scan Excessive slow-wave activity on ECG Causes include : High doses of vitamin A2 Outdated Tetracycline Quinolones Withdrawal of corticosteroid therapy Addison's diseaseQ SLE Hypoparathyroidism